Criminal negligence is punishable under
1. 307 IPC
2. 306 IPC
3. 304 IPC
4. 304 (A) IPC

Correct answer: 4. 304 (A) IPC

Explanation: 304A: Causing death by negligence: Whoever causes the death of any person by doing any rash or negligent act not amounting to culpable homicide shall be punished with imprisonment of either description for a term which may extend to two years, or with fine or with both. 302: Punishment for murder. 304: Punishment for culpable homicide not amounting to murder. Ref: Krishan Vij textbook of forensic medicine, 5th edition pg : 206